Nerve involved in hyperacusis
1. Facial nerve
2. Glossopharyngeal
3. Vagus
4. Hypoglossal

Correct answer: 1. Facial nerve

Explanation: Paralysis of stapedius muscle which is supplied by 7th cranial nerve causes hyperacusis or phonophobia Ref: Dhingra 7e pg 510.